Which of the following is MOST com monly affected by Crohn's Disease?
1. Cecum
2. Rectum
3. Sigmoid colon
4. Terminal Ileum

Correct answer: 4. Terminal Ileum

Explanation: Ans. is 'd' i.e., Terminal ileumThe terminal Ileum is the most common site of Desease in Crohn s Disease.Inflammatory Bowel disease site of involvement||Crohn sUlcerative cocitiso Any part of the Gout from mouth to anuso Most commonly affected is small intestine particularly ileumy Terminal ileitis ory Granulomatous colitiso Rectum sparedo Full thickness of the intestine involved but in patchy manner skip lesionso Limited to the colono Involves the entire colon starting from the rectum (retrograde manner)o Rectum is most commonly affectedo Ileum not involved may get involved may get involved in some cases (backwash ileitis).